All of the following shows positive myoclonus except?
1. Hepatic encephalopathy
2. Variant CJD
3. Janz syndrome
4. Salaam seizures

Correct answer: 1. Hepatic encephalopathy

Explanation: Negative myoclonus: Metabolic cause which contributes to development of myoclonus. E.g. Metabolic encephalopathies Variant CJD- startle / reflex myoclonus variant (loud noise causes a myoclonus) Janz syndrome- Juvenile myoclonic epilepsy Hypnogogic jerks: Falling to sleep and sudden jerky movement e.g. while going off to sleep